Indirect sympathomimetics can
1. Penetrate the blood brain barrier
2. Cause euphoria
3. Both of the above
4. None of the above

Correct answer: 3. Both of the above